Pt with his RTA presented to the OPD after 3days CTshowed the presence of an SDH On fundoscopy B12 papillecterna was seen What is the most probable course of this
1. Raised ICT
2. Meningitis
3. Optic neuritis
4. Glaucoma

Correct answer: 1. Raised ICT

Explanation: Raised Intracranial Pressure causes - Intracranial Masses Blockage of CSF Haemorrhage Hypertensive emephalopahty Venous Sinus thrombosis Hyperadrenalisrn Altitude sickness Tetracycline Vit-A intoxication ref : ak khurana 7th ed/ harrisons 21st ed